The age of a 16 years old female is best determined by the radiograph of :
1. Lower end of radius and Ulna
2. Upper end of humerus
3. Upper end of radius and Ulna
4. Xiphisternum

Correct answer: 1. Lower end of radius and Ulna

Explanation: A i.e. Lower end of radius & ulna